Northern blot test is used for
1. DNA analysis
2. RNA analysis
3. Analysis of proteins
4. Enzyme analysis

Correct answer: 2. RNA analysis

Explanation: Ans. is 'b' i.e. RNA analysis: Northern blot is used for - RNA analysis*Southern blot is used for - DNA analysis*Western blot is used for - Protein analysis*Mnemonic:South is Down on the globe. [i.e. South-DNA'